Essential fatty acids are except:
1. Arachidonic acid
2. Linoleic acid
3. Palmitic acid
4. Linolenic acid

Correct answer: 3. Palmitic acid

Explanation: The essential fatty acids are polyunsaturated fatty acids, linoleic acid (18:26) and linolenic acid (18:33). Arachidonic acid (20:46) is derived from dietary linoleic acid and is present primarily in membrane phospholipids. Important derivatives of linolenic acid are eicosapentaenoic acid (20:63) and docosahexaenoic acid (DHA, 22:63) found in human milk and brain lipids.Palmitic acid is a common saturated fatty acid. Ref : Botham K.M., Mayes P.A. (2011). Chapter 23. Biosynthesis of Fatty Acids & Eicosanoids. In D.A. Bender, K.M. Botham, P.A. Weil, P.J. Kennelly, R.K. Murray, V.W. Rodwell (Eds), Harper's Illustrated Biochemistry, 29e.